All of the following are contents of adductor canal, EXCEPT:
1. Femoral artery
2. Popliteal artery
3. Nerve to Vastus medialis
4. Saphenous nerve

Correct answer: 2. Popliteal artery

Explanation: Femoral artery and vein, saphenous nerve and, in the upper part, the nerve to vastus medialis. Adductor canal or subsartorial or Hunter's canal is a gutter-shaped tunnel in the middle third of the thigh. It extends from the apex of the femoral triangle to the adductor hiatus in the tendon of adductor magnus. Boundaries are given below:Anterior and lateral wall: vastus medialisPosterior wall - superior: adductor longus; inferior: adductor magnusMedial wall: Sartorius, which overlies the groove between the above muscles, forming the roof of the canal